All of the following may cause metaststic tumour casusing spinal cord compressions except -
1. Lung carcinoma
2. Breast carcinoma
3. Lymphoma
4. Meningioma

Correct answer: 4. Meningioma